"Saw-tooth" appearance on barium enema is characteristic feature of
1. Crohn's disease
2. Carcinoma colon
3. Ulcerative colitis
4. Diverticulosis

Correct answer: 4. Diverticulosis

Explanation: (D) Diverticulosis # "Diverticulosis shows thickening of the circular muscle fibres of the intestine, which develops a concertina or saw-tooth appearance on barium enema".> X Ray Findings - Abdomen (Contrast) Barium:> Bird's Beak deformity of lower oesophagus - Achalasia cardia (Barium Swallow) Rat tail tapering of lower oesophagus - Carcinoma oesophagus (Barium Swallow) Cork screw oesophagus - Diffuse oesophageal spasm (Barium Swallow) Commonest radiological appearance of gastric carcinoma (in barium meal follow through) is - filling defect in antrum / body of stomach Trifoliate duodenum - Chronic duodenal ulcer with scarring (Barium Meal) Hour Glass stomach - Peptic ulcer Cup & Spill / Cascade stomach - Volvulus of stomach Constriction of transverse duodenum - superior mesenteric artery syndrome Bull's eye lesion (in barium meal) - Leiomyosarcoma Single-bubble appearance - pyloric stenosis Double-bubble sign - Duodenal atresia, duodenal stenosis, annular pancreas Triple-bubble sign - Jejunal atresia Coffee bean sign - Strangulation of incompletely obstructed loop of small intestine String of Beads - Small bowel obstruction Coiled spring appearance - Intussusception Pincer-shaped ending in barium enema - Intussusception Bird of Prey sign - Sigmoid volvulus Moulage sign (flocculation of barium, with mucosal thickening) - seen.in - malabsorption syndrome String sign of Cantor - Crohn's disease Pipe-stem appearance (Loss of Frustrations)- Ulcerative Colitis (Barium Enema) Saw-tooth appearance and / or diverticula - Diverticular disease / Diverticulosis (Barium Enema) Scalloping of edge of sigmoid colon on barium enema - Ulcerative colitis Napkin ring sign - Annular carcinoma of colon Porcelain gall bladder - Carcinoma of gall bladder Pad sign - Carcinoma pancreas (Barium Meal)> ERCP: Scrambled-egg appearance - Carcinoma of pancreas Chain of Lakes appearance - Chronic pancreatitis Double duct sign - Carcinoma of pancreas> PTC: Meniscus sign - Choledocholithiasis